Hemophilia is associated with -
1. X Chromosome
2. Y Chromosome
3. Chromosome 3
4. Chromosome 16

Correct answer: 1. X Chromosome

Explanation: Ans. is 'a' i.e., X chromosome o Hemophilia A is caused due to defect or decrease in factor VIII.o The factor VIII gene is one of the largest genes known comprising about .l%of the X chromosome.o Factor VIII contains several areas of internal homology '.Hemophilia A geneso Hemophilic gens does not demonstrate a uniform abnormality, instead numerous different mutations in the Factor VIII gene have been described.o Seven different mutations have been demonstrated in the hemophilia gene.o Most common mutation associated with hemophilia A is major inversion of a section of the tip of the long arm of X chromosome.